Which of the following is the most characteristic feature of Adult Respiratory Distress Syndrome (ARDS):
1. Diffuse Alveolar Damage
2. Hypoxemia and Hypoxia
3. Surfactant Deficiency
4. Hypocapnia

Correct answer: 1. Diffuse Alveolar Damage

Explanation: Answer is A (Diffuse Alveolar Damage): Diffuse Alveolar Damage (DAD) is the histopathological hallmark of Acute Respiratory Distress Syndrome (ARDS) and the most characteristic feature amongst the options provided. Diffuse Alveolar Damage is often used as a synonym for ARDS. `The pathological hallmark of ARDS is Diffuse Alveolar Damage' - Thoracic Imaging (Thieme) 2010/Case 78 The histological hallmark of ARDS is Diffuse Alveolar Damage' - 'Intensive Critical Care Medicine' (Springer) 2009/210 Synonyms for ARDS Diffuse Alveolar Damage Shock Lung Blast Lung Traumatic Wet Lung Congestive Atelectasis Do Nang Lung Noncardiogenic Pulmonary Edema